The length of oesophagus in adult is
1. 10 cm
2. 15 cm
3. 20 cm
4. 25 cm

Correct answer: 4. 25 cm

Explanation: (25 cm) (267-IBS4th) (134-35-Snell 7th)OESOPHAGUS* It extends from the lower part of the neck to the upper part of the abdomen.* The oesophagus is about 25 cm long (10 inch)* The pharyngo-oesophageal junction is the narrowed part of the alimentary canal except for the vermiform appendix.* The oesophagus begins in the neck at the lower border of the cricoid cartilage. It ends by the opening into the stomach at its cardiac end at the level of 11th thoracic vertebra.Constriction-4DistanceCervicalBronchoaorticDiaphragmaticDuodenumDistance from incisor teeth6 in (15 cm)10 in (25 cm)16 in (41 cm)22-26 in (56-66 cm)Distance from nostrils7.2 in (18 cm)11.2 in (28 cm)17.2 in (44 cm)23.2-27.2 in (59-69 cm)Arterial supply* Upper third = Inferior thyroid artery** Middle third = Oesophageal branches of the descending thoracic aorta** Lower third = Left gastric artery*